Deficiency of growth hormone leads to –a) Delayed fusion of epiphysisb) Proportionate dwarfismc) Acromegaly d)  Intellectual disability
1. ac
2. a
3. ab
4. bc

Correct answer: 3. ab

Explanation: Delayed closure of the epiphysis permits growth beyond the normal age when growth should be complete.
There is proportionate shortening.